Who is the father of Psychoanalysis?
1. Adla
2. Carl Jung
3. Sigmund Freud
4. Emil Kraeplin

Correct answer: 3. Sigmund Freud

Explanation: Psychoanalysis : Sigmond Freud
Child psychoanalysis: Anna Freud
Analytical psychology: Carl Jung.